All are relatively normal in Korsakoff's psychosis except:
1. Implicit memory
2. Intelligence
3. Language
4. Learning

Correct answer: 4. Learning

Explanation: In Korsakoff psychosis, there is prominent Anterograde amnesia. Whenever there is Anterograde amnesia (i.e. new memories cannot be made), learning would be severely affected.